The most common presentation of IgA nephropathy
1. Nephritic syndrome
2. Nephrotic syndrome
3. Microscopic hematuria
4. Repeated gross hematuria

Correct answer: 4. Repeated gross hematuria

Explanation: The two most common presentations of IgA nephropathy are - Recurrent episodes of macroscopic hematuria during or immediately following an upper respiratory infection often accompanied by proteinuria . Persistent asymptomatic microscopic hematuria. Nephrotic syndrome is uncommon . Ref:Harrison 20 th edition pg no 2140